Mechanism of action of furosemide as a diuretic is:-
1. Inhibition of Na-K-Cl ion symporter
2. Aldosterone antagonism
3. Inhibition of Na-Cl symporter in distal tubules
4. Carbonic anhydrase inhibition

Correct answer: 1. Inhibition of Na-K-Cl ion symporter

Explanation: Name Site of action Example Mechanism Loop diuretics Thick ascending limb of Loop of Henle Furosemide, Torsemide Na-K-2Cl symporter inhibition Carbonic anhydrase inhibitors PCT Acetazolamide, Dorzolamide, Brinzolamide Carbonic anhydrase inhibition Thiazides DCT Hydrochlorthiazide, Chlorthalidone Na-Cl symporter inhibition Osmotic diuretics Non-specific Mannitol By osmotic effect Epithelial sodium channel blockers Collecting duct Amiloride, Triamterene eNa channel blockade Aldosterone antagonists Collecting duct Spironolactone, Epleronone Antagonism of aldosterone receptors